Inability to perform physical activity without discomfort falls under
1. NYHA class 1
2. NYHA class 2
3. NYHA class 3
4. NYHA class 4

Correct answer: 4. NYHA class 4

Explanation: Ans. d. NYHA class 4